Cardiolipin is associated with
1. Nucleus
2. Mitrochondria
3. Ribosome
4. Lysosome

Correct answer: 2. Mitrochondria